Mechanism of action of levosimenden is ?
1. Inoconstrictor
2. Potassium channel opener
3. Sodium channel opener
4. Beta blocker

Correct answer: 2. Potassium channel opener

Explanation: Ans. is b i.e., Potassium channel opener Levosimendon A new ionodilator is Levosimendon It has inodilator effect by: i) Inotropic effect : Levosimendon is calcium sensitiser, i.e. it increases the sensitivity of the heart to calcium that results in increased cardiac contractility without a rise in intracellular calcium. ii) Vasodilatory effect : by opening ATP-sensitive potassium channels in vascular smooth muscles it causes smooth muscle relaxation.